'Weak giants' are produced by:
1. Thyroid adenomas
2. Thyroid carcinomas
3. Parathyroid adenomas
4. Pituitary adenomas

Correct answer: 4. Pituitary adenomas

Explanation: d. Pituitary adenomas(Ref: Nelson's 20/e p 2714-2724)Hyperpituitarism causes tall stature (Giants), with weak muscles; Most common cause of Hyperpituitarism is Pituitary adenoma.